Which of the following statements about the vasomotor centre (VMC) is true
1. Independent of corticohypothalamic inputs
2. Influenced by baroceptor signals but not by chemoreceptors
3. Acts along with the cardiovagal centre (CVC) to maintain blood pressure
4. Essentially silent in sleep

Correct answer: 3. Acts along with the cardiovagal centre (CVC) to maintain blood pressure

Explanation: The vasomotor centre receives inputs from cortex directly and indirectly through the hypothalamus. It is also influenced by afferents from baroreceptors and chemoreceptors and remains active even if the person is asleep. BP is regulated by medulla through the vasomotor centre (sympathetic centre) and cardioinhibitory centre (parasympathetic centre), which acts together.